Which of the following drug has maximum risk of dry mouth:
1. oxybutynin
2. Trospium.
3. Solefancin.
4. Flavoxate.

Correct answer: 1. oxybutynin